All of the following are seen in Karatagener syndrome except
1. Bronchiectasis
2. Azoospermia
3. Situs inversus
4. Sinusitis

Correct answer: 2. Azoospermia

Explanation: Karatagener Syndrome:
Bronchiectasis
Sinusitis
Situs inversus.